Drugs used for post menopausal symptoms include the following except :
1. Conjugated estrogens
2. Tibolone
3. Alendronate
4. Danazol

Correct answer: 4. Danazol

Explanation: Danazol